Cubitus Valgus Deformity is commonly seen in which of the following conditions -
1. Malunited Lateral Condylar fracture of Humerus
2. Malunited Supracondylar Fracture of Humerus
3. Posterior dislocation of elbow
4. Fracture medial condyle of humerus

Correct answer: 1. Malunited Lateral Condylar fracture of Humerus

Explanation: Ans. is 'a' i.e., Malunited Lateral Condylar fracture of Humerus o Fractures commonly showing cubitus valgus deformity due to malunion :# Fracture lateral condyle humerus# Monteggia Fracture Dislocationo Complications of lateral condylar humerus fractures# Cubitus valgus# Cubitus Pseudovarus (lateral spur)# Tardy ulnar nerve palsy# Osteonecrosis of the trochlea